Ratio of O2 : N2O in Entonox is –
1. 50:50:00
2. 60:40:00
3. 40 : 60
4. 25 : 75

Correct answer: 1. 50:50:00

Explanation: Entonox contain equal amount (50/50) of N2O and O2.